Following virus is of pox virus -
1. Variola
2. Coxsachie
3. ECHO
4. HHV

Correct answer: 1. Variola

Explanation: Poxviruses classified into 6 genera. Among them, variola included in ohopoxviruses REF:ANATHANARAYAN AND PANIKER'S TEXTBOOK OF MICROBIOLOGY 9TH EDITION PAGE NO:561